Figlu is a metabolite of:
1. Folic Acid
2. Histidine
3. Alanine
4. Tyrosine

Correct answer: 2. Histidine

Explanation: Ans. B. HistidineFIGLU stands for N- formimino glutamate and is formed during catabolism of Histidine. In the reaction there is transfer of formimino group of FIGLU to tetra hydro folate to form glutamate. In folic acid deficiency this reaction is blocked and FIGLU is excreted in urine. So excretion of FIGLU following a test dose of histidine provides a diagnostic test for folic acid deficiency.